Ventricular tachycardia is represented by all, Except
1. Wide QRS complex
2. AV dissociation
3. Capture Beasts
4. Typical RBBB QRS complex

Correct answer: 4. Typical RBBB QRS complex

Explanation: The criteria to diagnose a right bundle branch block on the electrocardiogram: The heart rhythm must originate above the ventricles (i.e., sinoatrial node, atria or atrioventricular node) to activate the conduction system at the correct point. The QRS duration must be more than 100 ms (incomplete block) or more than 120 ms (complete block). There should be a terminal R wave in lead V1 (often called "R prime," and denoted by R, rR', rsR', rSR', or qR). There must be a prolonged S wave in leads I and V6 (sometimes referred to as a "slurred" S wave). The T wave should be deflected opposite the terminal deflection of the QRS complex. This is known as appropriate T wave discordance with bundle branch block. A concordant T wave may suggest ischemia or myocardial infarction. Ref Harrison 20th edition pg 1432